A 40-year-old man has a routine CXR, which reveals a posterior mediastinal mass. Which of the following is the most likely diagnosis?
1. lipoma
2. neurogenic tumor
3. esophageal cyst
4. fibroma

Correct answer: 2. neurogenic tumor

Explanation: Neurogenic tumors are the most common posterior mediastinal masses. Other posterior mediastinal masses include meningoceles, meningomyeloceles, gastroenteric cysts, and esophageal diverticula. Common anterior mediastinal masses include thymomas, lymphomas, teratomas, and thyroid masses. Middle mediastinal masses include vascular lesions, lymph nodes, and pleuropericardial and bronchogenic cysts.